Cardiac tamponade is characterised by all except
1. Irregular pulse
2. Hypotension
3. Reduced pulse pressure
4. Pulsus paradoxus

Correct answer: 1. Irregular pulse

Explanation: Irregular pulse is not seen in Cardiac tamponade. *Clinical features of Cardiac tamponade : Dyspnoea, collapse, Tachycardia, Hypotension, gross elevation of JVP, soft heart sound with an early third heart sound, Pulsus paradoxus, kussmaul's breathing. Reference : Davidson, 23rd Edition, page no : 544.